Gross National Product - capital we consume
1. Net National product
2. Gross Domestic product
3. Gross National income
4. Net Domestic product

Correct answer: 1. Net National product